Basal lamina consists of
1. Type I collagen fibres
2. Type II collagen fibres
3. Type IV collagen fibres
4. Type III collagen fibres

Correct answer: 3. Type IV collagen fibres